Therapeutic uses of Prostaglandin El include all of the following except -
1. Medical termination of pregnancy
2. Impotence
3. Primary pulmonary hypertension
4. Maintenance of patent ductus arteriosus (PDA)

Correct answer: 3. Primary pulmonary hypertension

Explanation: Ans. is 'c' i.e., Primary pulmonary hypertension o PGI2 is used for primary pulmonary hypertension (not PGE1). Important uses of PGs PGI2 (epoprostenal) o For extracorporeal circulation in dialysis and cardiopulmonary bypass o Primary pulmonary hypertension o To maintain the patency of ductus arteriosus (PDA) o For storage of platelets for transfusion PGE, (Alprastadil) To treat erectile dysfunction To maintain the PDA Misoprost - NSAIDS induced peptic ulcer o Misoprost For induction of labour in first few weeks ofpregnancy ---> medical termination ofpregnancy PGE2 (Dinoprostone) o Intravaginally for induction of midtrimester abortion o For cervical ripening a uveoscieduring labour